The flipped pattern of LDH isoenzymes occur in -
1. Myositis
2. Myocardial infarction
3. Grave's disease
4. Myasthenia gravis

Correct answer: 2. Myocardial infarction

Explanation: LDH-2 is usually the predominant form in the serum. An LDH-1 level higher than the LDH-2 level (a "flipped pattern") suggests myocardial infarction (damage to heart tissues releases heart LDH, which is rich in LDH-1, into the bloodstream). The use of this phenomenon to diagnose infarction has been largely superseded by the use of Troponin I or T measurement Ref: https://en.wikipedia.org/wiki/Lactate_dehydrogenase